All of the following are features of non-specific interstitial pneumonia (NSIP), except:
1. Cellular pattern show interstitial inflammation
2. Fibrosing pattern consists of diffuse or patchy interstitial fibrotic lesions of roughly the same stage of development
3. Honeycomb fibrosis present
4. Good prognosis

Correct answer: 3. Honeycomb fibrosis present

Explanation: Non-specific interstitial pneumonia (NSIP): The cellular pattern consists primarily of mild to moderate chronic interstitial inflammation, containing lymphocytes and a few plasma cells. The fibrosing pattern consists of diffuse or patchy interstitial fibrotic lesions of roughly the same stage of development, an important distinction from UIP (usual interstitial pneumonia). Fibroblastic foci, honeycombing, hyaline membranes and granulomas are absent. Has much better prognosis than idiopathic pulmonary fibrosis